Which of the following is lined by transitional epithelium
1. Stomach
2. Colon
3. Urethro verical junction
4. Prostate

Correct answer: 3. Urethro verical junction

Explanation: INDERBIR SINGH'S TEXTBOOK OF HUMAN HISTOLOGY-PAGE NO:321 Both in the male and female,the greater part of urethra is lined by pseudo stratified columnar epithelium.a short part adjoining the urinary bladder us lined by transitional epithelium